Quellung reaction is associated with -
1. Capsular degeneration
2. Capsular delineation
3. Capsular absence
4. Lecithinase production

Correct answer: 2. Capsular delineation

Explanation: Ans. is 'b' i.e., Capsular delineation A suspension of pneumococci is mixed on a slide with a drop of the type specific antiserum and methylene blue. On the presence of homologous antiserum capsule becomes apparently swollen, sharply delineated and refractile.